A patient underwent sentinel node biopsy for treatment of breast carcinoma. Which of the following nerves is likely to be injured during this procedure?
1. Intercostobrachial nerve
2. Nerve to latissimus dorsi
3. Nerve to serratus anterior
4. Lateral pectoral nerve

Correct answer: 1. Intercostobrachial nerve